IgA deposits on skin biopsy -
1. Henoch schonlein purpura
2. Giant cell arteritis
3. Microscopic polyangitis
4. Wegener's granulomatosis

Correct answer: 1. Henoch schonlein purpura